Rabies is identified by -
1. Guarnieri bodies
2. Negri bodies
3. Cowdry A bodies
4. Cowdry B bodies

Correct answer: 2. Negri bodies

Explanation: Few Important Bodies in Microbiology

 Bollinger bodies — Fowlpox
 Brassy body — Dark shrunken blood corpuscle found in malaria
 Call exner bodies — Granulosa theca cell tumour
 Chromatid bodies — Entamoeba histolytica precyst
 Citron bodies — cl. Septicum
 Cigar bodies — Sporotrichosis
 Councilman bodies — Yellow fever/viral hepatitis
 Coccoid X bodies — Psittacosis
 Donovan bodies — Granuloma inguinale (LGV)
 Guarnieri bodies — Inclusion bodies of vaccinia
 Henderson paterson bodies — Molluscum contagiosum
 Levinthal cole lillie bodies — Psittacosis
 Mooser bodies — Endemic typhus
 Negri bodies — Rabies
 Paschen bodies — Vaccinia, variola
 Ross’s bodies — Syphilis
 Sclerotic bodies — Chromoblastomycosis